Anterior scalloping of vertabrae seen in -
1. Obsteogenesis imperfecta
2. Aortic aneurysm
3. Metastasis
4. Renal Cell Ca

Correct answer: 2. Aortic aneurysm

Explanation: Ans is option 2... Aortic aneurysm Anterior scalloping is seen in following conditions Aortic aneurysm, tuberculous spondylosis, lymphadenopathy, delayed motor development (in downs syndrome) Posterior scalloping is seen in Tumors in spinal canal (ependymoma, lipoma,, neurofibroma), neurofibromatosis, acromegally, achondroplasia, congenital syndromes like Ehler-Danlos, Marfans, Hurlers etc Ref Chapman 3/e p 88,89